Which of the following is considered as a marker for epididymal function?
1. Fructose
2. Testosterone
3. Acid phosphatase
4. Carnitine

Correct answer: 4. Carnitine

Explanation: In the epididymis, the columnar cells that, with the basal cells, form the majority of the epithelium. These cells extend from the lumen to the basal lamina, They also have non-motile stereocilia, which are long and branching in the head region and shorter in the tail region. They also secrete carnitine, sialic acid, glycoproteins, and glycerylphosphorylcholine into the lumen.Ref: Ganong's review of medical physiology; 24th edition; page no: 419